All of the following drugs alter calcium hemostasis except -
1. Flouride
2. Indomethacin
3. Mithramycin
4. Thiazides

Correct answer: 2. Indomethacin